True about posterior communicating artery is:
1. A branch of posterior cerebral artery
2. A branch of superior cerebral artery
3. A branch of internal carotid artery
4. A branch of external carotid artery

Correct answer: 3. A branch of internal carotid artery

Explanation: A branch of internal carotid artery